The Tonsils are derived from:
1. 1st branchial pouch
2. 2nd branchial pouch
3. 3rd branchial pouch
4. 4th branchial pouch

Correct answer: 2. 2nd branchial pouch

Explanation: 2nd branchial pouch